Negative montoux test is when induration is -
1. <5mm
2. <10mm
3. <15 mm
4. <20 mm

Correct answer: 1. <5mm

Explanation: Ans. is 'a' i.e., < 5 mm MethodIntradermal injection of PPD on flexor aspect of forearm|Examined at 48-72 hours||||Induration > 10 mmInduration < 5 mmInduration 6-9 mm|||PositiveNegativeEquivocal|Repeat tuberculin test (two step testing)